Pleomorphism may be present in:
1. Klebsiella
2. Proteus
3. Clostridium
4. All of the above

Correct answer: 4. All of the above

Explanation: Ans. D i.e. All of the above